Health education –
1. Is health promotion
2. Is health distortion
3. Is delivered through public health agencies only
4. Does not help in prevention of cancer

Correct answer: 1. Is health promotion

Explanation: Health education

Health education is the profession of educating people about health.
It is the principal by which individuals and groups of people learn to behave in a manner conducive to -


Promotion of health
Maintenance of health
Restoration of health

WHO definition of health education
"Health education comprise consciously constructed opportunities for learning involving some form of communication designed to improve health literacy, including improving knowledge, and developing life skills which are conducive to individual and community health".